Saffron coloured meconium is seen in:
1. Postmaturity
2. TB
3. Breech
4. Normal in appearance

Correct answer: 1. Postmaturity

Explanation: Postmaturity syndrome is the description of a clinical syndrome in which fetus experiences placental insufficiency and resultant growth restrictions.The classical syndrome describes a neonate with wrinkled ,peeling skin coated with meconium,overgrown nails ,well developed palm and sole creases ,reduced subcutaneous fat and a wizened old man appearance (refer pgno:218 sheila textbooks of obstetrics 2 nd edition)